Which test is not useful in a patient with history of syncopal attack -
1. Electrophyciological test
2. Table tilt test
3. PET scan
4. Holier monitoring

Correct answer: 3. PET scan